Inceased accumulation of fluid in the interstitial space is described as -
1. Edema
2. Effusion
3. Transudate
4. Exudate

Correct answer: 1. Edema

Explanation: Ans. is 'a' i.e., Edema o Edema: accumulation of fluid in the interstitial spaceo Effusion: accumulation of fluid in the body cavities